Surgery in genital TB Is not indicated in -
1. Pyometra
2. Plastic bowel adhesions
3. Pyosalpinx
4. Persistence of symptoms despite medical management

Correct answer: 2. Plastic bowel adhesions

Explanation: Ans. is'b'i.e., Plastic bowel adhesionsIndications for surgery in case of genital tuberculosis:Progression of diseasePersistent activelesion despite chemotherapyPersistence of large inflammatory masses i. e. pyosalpinx, Pyometra despite chemotherapyPersistence of symptoms i. e. pain, menorrhagia despite chemotherapyPersistence offistula despite chemotherapyContraindications for surgery in case of genital tuberculosis:Active lesions elsewhere in bodyPlastic adhesions ofbowel